Predisposing factor for pneumococal pneumoniaa) CRFb) Lymphoma c) Thalassemiad) Cystic fibrosis
1. abc
2. bc
3. acd
4. bcd

Correct answer: 1. abc